Which one of the following is not responsible for concentration of urine in the kidney -
1. Aldosterone
2. Angiotensinn
3. Vasopressin
4. Epinephrine

Correct answer: 4. Epinephrine

Explanation: D i.e. Epinephrine